Broca's aphasia is characterized by:
1. Non- fluent aphasia
2. Word salad
3. Anomia
4. Apraxia

Correct answer: 1. Non- fluent aphasia

Explanation: Ans. (a) Non- fluent aphasiaRef : Harrison 19th ed. /177-78* Brocas area is present in inferior frontal gyrus and is responsible for fluency, syntax and expression of speech and damage to this area causes loss of ability to express self and thereby development of non-fluent aphasia.* Word salad is seen in patients with damage to Wernickes area (Area responsible for comprehension).* Anomia is seen in global aphasia where both Broca and Wernicke area are damaged.* Apraxia is seen in patients with damage to non dominant parietal lobe.